Which one of the following is NOT an approach to the health education ?
1. Regulatory approach
2. Service approach
3. Health education approach
4. Primary health centre facilities

Correct answer: 4. Primary health centre facilities